Basal cell carcinoma is seen in most commonlyin which eyelid?
1. Upper medial
2. Upper lateral
3. Lower medial
4. Lower lateral

Correct answer: 3. Lower medial

Explanation: Ans. is 'c' i.e., Lower medial Basal cell carcinoma is the commonest malignant tumor of the lids (90%) usually seen in elderly people. It is locally malignant and involves most commonly lower lid (50%) followed by medial canthus (25%), upper lid (10-15%) and outer canthus. "Basal cell carcinoma is seen in the lower lid near the inner canthus usually" Renu Jogi